A 40 year old woman is on treatment for CLL. Over the past few months she noticed swellings in the neck and axilla which was rapidly increasing in size. She complains of feeling feverish and experiences weight loss. Which of the following is responsible?
1. Richter transformation
2. Progression of CLL
3. Development of secondary infections
4. Immunodeficiency associated hemolytic anemia

Correct answer: 1. Richter transformation

Explanation: CLL: Chronic Lymphocytic leukemia (CLL):- Neoplastic proliferation of native B cell; . Transformation to diffuse large B cell Lymphoma is marked by enlarging lymph node or spleen and worsening of symptom. This phenomenon is called Ritcher Transformation. Dx by flow cytometry positive for CD19/20, CD 5/23 Tx: Fludarabine is Drug of choice for management.